True statement about Appendix
1. Does not have mesentry
2. Has taenia coli
3. Develops from midgut
4. All

Correct answer: 3. Develops from midgut

Explanation: C i.e. Develops from midgut